Sulfasalzine is used in:
1. Gout
2. Irritable bowel disease
3. Ulcerative colitis
4. Idiopathic osteoarthritis

Correct answer: 3. Ulcerative colitis

Explanation: Ans. C: Ulcerative Colitis The mainstay of drug therapy for mild and moderate ulcerative colitis is sulfasalazine and other aminosalicylic acid (ASA) compounds and corticosteroids Sulfasalazine It is a sulfa drug, a derivative of mesalazine (also called 5-aminosalicylic acid, or 5-ASA) Sulfasalazine is used in the treatment of inflammatory bowel disease, including ulcerative colitis and Crohn's disease. It is also indicated for use in rheumatoid arthritis and used in other types of inflammatory arthritis (e.g. psoriatic arthritis) where it has a beneficial affect. It is often well tolerated compared to other DMARDS. It is usually not given to children under 2 years of age. It yields the metabolite sulfapyridine which gives rise to side-effects such as agranulocytosis and hypospermia. The other metabolite of sulfasalazine, 5-aminosalicylic acid (5-ASA) is attributed to the drug's therapeutic effect. Therefore, 5-ASA and other derivatives of 5-ASA, are now usually preferred and given alone (as mesalazine), despite their increased cost, due to their more favourable side-effect profile. Sulfasalazine, and its metabolite 5-ASA, are poorly absorbed from the gut.